Ultrasound frequency used for diagnostic purposes in obstetrics -
1. 1–20 MHz
2. 20–40 MHz
3. 40–60 MHz
4. 60–80 MHz

Correct answer: 1. 1–20 MHz

Explanation: The US machine emits high frequency sound waves, ranging from 2-15 MHz, whose frequencies are considerably above the upper limit of human ear's audible range, i.e. greater than 20,000 Hz.